All of the following statements about Sibson's fascia are true, except:
1. It is attached to transverse process of C7
2. Subclavian artery arches over it
3. Attached to the cervical pleura
4. Develops from the Scalenous Anterior

Correct answer: 4. Develops from the Scalenous Anterior

Explanation: Sibson's fascia morphologically represents degenerated Scalenous Minimus muscle Sibson's fascia or Suprapleural membrane: Sibson Fascia is a strong fascial connective tissue layer above the superior thoracic inlet on each side, covering the apex of the lung. It serves as a plane of seperation between the lower neck and the thorax. It is placed over the cervical pleura and hence also named as Suprapleural membrane. Sibson's fascia, morphologically represents the degenarated Scalenus Minimus muscle. Attachements and relations of Sibson's fascia: Attachments Relations Posteriorly: Transverse process of the C7 Anteriorly and laterally: medial margin of the first rib Superiorly: Subclavian artery and Vein Inferiorly: Cervical pleura (cervical dome of pleura is attached to its undersurface) Functions: It protects the underlying cervical pleura, beneath which is located the apex of the lung It provides rigidity to the thoracic inlet that prevents distortion due to changes in intrathoracic pressure during respiration. Consequently, the root of neck is not puffed up and down during respiration. Ref: Gray's Anatomy 41st edition Pgno: 446